All are false statements except :
1. Hantavirus pulmonary syndrome is caused by inhalation of rodent feces
2. KFD is caused by the bite of wild animal
3. Lyssa virus is transmitted by ticks
4. Yellow fever is transmitted by Anopheles mosquito

Correct answer: 1. Hantavirus pulmonary syndrome is caused by inhalation of rodent feces

Explanation: Hantavirus pulmonary syndrome is caused by inhalation of rodent feces is the only true statement among the options given above. Option 1: Hantaviruses: Found worldwide. Cause two serious and often fatal human diseases: Hemorrhagic fever with renal syndrome Hantavirus pulmonary syndrome (HPS). Rodents are the reservoirs for hantaviruses. The virus infections in rodents are lifelong and without deleterious effects. Transmission to humans occurs by inhaling aerosols of rodent excreta (urine, feces, saliva). Hantavirus pulmonary syndrome is generally severe, with reported mortality rates of 30% or greater. The disease begins with fever, headache, and myalgia followed by rapidly progressive pulmonary edema, often leading to severe respiratory compromise. Option 2,3: KFD (Kyasanur forest disease) is transmitted to humans through the bite of infected hard ticks. Option 4: Yellow fever is transmitted by Aedes mosquito.